If prevalence of a disease increases, what is true-
1. PPV increases
2. PPV decreases
3. No effect on PPV
4. Prevalence is more in A

Correct answer: 1. PPV increases

Explanation: Ref:Parks 25th edition pg 153. Positive predictive value depends on prevalence : Note : PPV increases as prevalence increases. PPV decreases as prevalence decreases. But sensitivity and specificity is independent of prevalence.